Circumcision is included in management of Ca penis at -
1. Glans
2. Prepuce
3. Glandulo prepucial
4. Shaft of penis

Correct answer: 2. Prepuce

Explanation: Management of Ca Penis The small noninvasive lesion can be t/t by Fluorouracil cream. Nd: YAG Laser Radiotherapy Such t/t preserves the penis, but close follow up is mandatory Invasive penile carcinomas. The goal of t/t in invasive penile carcinomas is complete excision with adequate margins For lesion involving the prepuce simple circumcision is effective. For lesion of glands or distal shaft partial penectomy with a 2 cm margin (less aggressive surgical resections such as Mohs micrographic surgery and local excisions directed at penile preservation can be done.) For lesion involving the proximal shaft or when partial penectomy results in a penile stump of insufficient length for sexual function or directing the urinary stream total penectomv with perineal urethrostomv Inguinal lymph nodes. Palpable inguinal nodes should be t/t by antibiotics for 6 weeks following t/t of the primary lesion to eliminate infection (this is to cure reactive lymphadenopathy d/t sepsis). Persistent adenopathy following antibiotic t/t is considered to be metastatic disease and bilateral ilioinguinal node dissection is performed.